Tracheal bifurcation is at which level of vertebra
1. T4
2. T2
3. T1
4. T7

Correct answer: 1. T4

Explanation: Trachea divides at the level of lower border of 4th thoracic vertebrae into 2 primary principal bronchus.